Schwalbe's line represents -
1. Junction of the choroid and retina
2. Termination of corneal descemets membrane
3. Division between bulbar and palpebral conjunctiva
4. Upper limit of the macula

Correct answer: 2. Termination of corneal descemets membrane

Explanation: Ans. is 'b' i.e., Termination of corneal descemets membrane * Schwalbe's line is the anatomical line found on the interior surface of the eye's cornea, and delineates the outer limit of the corneal endothelium layer. Specifically, it represents the termination of Descemet's membrane.In many cases it can be seen via gonioscopy.* The cornea has five distinct layers (from superficial to deep): -1) Epithelium : - It is the outermost part of cornea and is composed of stratified squamous non-keratinized epithelial cells.2) Bowman's membrane : - It is not a true membrane but simply a condensed superficial part of stroma. Once destroyed, it does not regenerate.3) Stroma (Substantia propria) : - This layer constitutes most of the cornea (90% of thickness). It consists of collagen fibrils (lamellae) embedded in hydrated matrix of proteoglycans.4) Descemet's membrane : - This layer bounds the stroma posteriorly. In the periphery it appears to end at the anterior limit of trabecular meshwork as Schwable's ring.5) Endothelium : - It is a single layer of flat polygnonal cells. The endothelial cells contain 'active-pump' mechanism and is the most important layer in maintaining the transparency of cornea. The cell density of endothelium is around 3000 cells/mm2 in young adults, which decreases with the advancing age. There is a considerable functional reserve for the endothelium. Therefore owing to the high functional reserve and good metabolic activity of the endothelial layer, regeneration occurs rapidly after injury. Therefore, corneal decompensation occurs only after more than 75 percent of the cells are lost.